By definition, granulomas are composed of:
1. Cholesterol clefts
2. Collagen
3. Endothelial cells and fibroblasts
4. Epithelioid cells

Correct answer: 4. Epithelioid cells

Explanation: Granulomatous inflammation is characterized by the presence of granulomas, which by definition are aggregates of activated macrophages (epithelioid cells).